Modified Allen's test is for checking the proper arterial supply at the:
1. Wrist
2. Arm
3. Elbow
4. Forearm

Correct answer: 1. Wrist

Explanation: Ans. a. Wrist (Ref: Morgan 4/123-124)Modified Allen's test is for checking the proper arterial supply at the wrist. It is used to know the integrity of palmar arch (patency of radial and ulnar arteries)Q.Allen's TestTests the adequacy of the blood supply to the hand from the radial and ulnar arteries and the arcade between themQAllen's test is used to know the integrity of palmar arch (patency of radial and ulnar arteries)Q. If these are patent, AVF can be safely ligated.Method of Allen's TestElevate the hand and apply digital pressure on the radial and ulnar arteries to occlude them.Ask the patient to make a fist several times.The tips of the finger should go pale. Release each artery in turn and observe the return of colour